Teunissen's classification is used in classification of congenital anomalies of:
1. Middle ear
2. Larynx
3. Trachea
4. Pharynx

Correct answer: 1. Middle ear

Explanation: Historically, congenital malformations of the ear have been divided into major and minor types with the latter limited to the middle ear alone. Teunissen's classification system is based on the site of involvement and aids in determining the appropriateness for surgery.